Drug causing maximum peripheral neuropathy is:
1. Zidovudine
2. Lamivudine
3. Stavudine
4. Didanosine

Correct answer: 3. Stavudine

Explanation: Stavudine :(d4T) It is a thymidine analogue which acts in the same way as AZT. By utilizing the same thymidine kinase for activation, AZT antagonises the effect of stavudine. Resistance to stavudine develops as for other Nis. It is well absorbed orally and rapidly metabolized(half life 1 .5 hr). The anti-HIV efficacy of stavudme IS comparable to AZT, and it is used in c_ombination regimens. Peripheral neuropathy, lipodystrophy and rarely pancreatitis are the serious toxicies which have restricted its use. zidovudine(AZT): triphosphate selectively inhibits viral reverse transcriptase (RNA-dependent DNA polymerase) in preference to cellular DNA polymerase. ESSENTIALS OF MEDICAL PHARMACOLOGY K.D.TRIPATHI SIXTH EDITION PAGE NO:771,772